Zadek's procedure is:
1. Resection of part of nail with nail bed
2. Resection of complete nail with part of nail bed
3. Injection phenol at base of toe nail
4. Wide excision of nail

Correct answer: 2. Resection of complete nail with part of nail bed

Explanation: Ans. (b) Resection of complete nail with part of nail bedZadek's procedure:* For recurrent in growing toe nail* The growing point is removed so that the nail will never regrow.